Requirement of Iodine during Breast feeding
1. 50mcg/day
2. 100mcg/day
3. 200mcg/day
4. 250mcg/day

Correct answer: 4. 250mcg/day

Explanation: RDA of Iodine in Adults - 150mcg/day
RDA of Iodine during pregnancy and breast feeding is - 250mcg/day